Irregular concavity in the lingual surface of the incisors above the cingulum is known as:
1. Fossa.
2. Groove.
3. Sulcus.
4. Pit

Correct answer: 1. Fossa.